In case of spasticity, the drug not used is:
1. Diazepam
2. Baclofen
3. Tizanidine
4. Amitryptiline

Correct answer: 4. Amitryptiline

Explanation: Spasticity is a condition in which certain muscles are continuously contracted. This contraction causes stiffness or tightness of the muscles and can interfere with normal movement, speech and gait.Spasticity is usually caused by damage to the portion of the brain or spinal cord that controls voluntary movement. Amitriptyline, sold under the brand name Elavil among others, is a medicine primarily used to treat a number of mental illnesses. These include major depressive disorder and anxiety disorders, and less commonly attention deficit hyperactivity disorder and bipolar disorder.